Bilateral germ cell tumour is:
1. Dysgerminoma
2. Immature teratoma
3. Embryonal cell carcinoma
4. Endodermal sinus tumour

Correct answer: 1. Dysgerminoma

Explanation: -Germ cell tumors are common in children and young adults and are derived from primordial germ cells of the ovary. -among germ cell tumors, only dysgerminoma is bilateral (15%). Reference : textbook of gynaecology Sheila balakrishnan, 2nd edition, pg no:-282